Antidote for oxalic acid poisoning -
1. BAL
2. Animal charcoal
3. Calcium gluconate
4. Magnesium

Correct answer: 3. Calcium gluconate

Explanation: Antidote : Any calcium preparation (e.g. calcium gluconate/chloride, lime water, suspension of chalk), which converts poison into insoluble calcium oxalate is an antidote for oxalate poisoning.